2 year old baby having testicular lump. Increased AFP diagnosis -
1. Yolk sac tumor
2. Seminoma
3. Choriocarcinoma
4. Teratoma

Correct answer: 1. Yolk sac tumor

Explanation: Ans. is 'a' i.e., Yolk sac tumor o Germ cell tumor (GCT) include -SeminomaEmbryonal carcinomaChoriocarcinomaYolk sac tumorTeratomao All GCT except teratoma are malignant (in children),o MC GCT in children is benign teratoma,o MC malignant GCT in children is yolk sac tumor,o Tumor marker is important for evaluation,o [31 ICG and AF P are important marker,o AFP elevated is 90% of yolk sac tumor.o Elevated AFP in a child over I year with tests tumor almost always reflect yolk sac tumor.